Koebner's phenomenon is not seen in:
1. Vitiligo
2. Psoriasis
3. Dermatitis herpertiformis
4. Lichen planus

Correct answer: 3. Dermatitis herpertiformis

Explanation: Ref: Thappa DM. The isomorphic phenomenon of Koebner. Indian J Dermatol Venereal Leprol 2004;70:187-9.Explanation:The Koebner phenomenon is the development of isomorphic pathologic lesions in the traumatized uninvolved skin of patients who have cutaneous diseases.Koebner phenomenon signifies activity of the disease.Types of Koebner phenomenon:1. True isomorphic phenomenon:There appear to be three disease processes that display the true isomorphic response of Koebner:PsoriasisLichen planusVitiligo.2. Pseudoisomorphic phenomenon:The Koebner phenomenon also seen in infectious diseasesWartsMolluscum contagiosumBehcet's diseasePyoderma gangrenosum.3. Occasionally occurring isomorphic phenomenon:In this category, diseases occasionally localize to sites of trauma, e.g.Cancer (gastric, testicular or mammary )Darier's diseaseErythema multiformeHailey-Hailey diseaseKaposi's sarcomaKyrle's diseaseLichen sclerosus et atrophieusPellagraPerforating folliculitisReactive perforating collagenosis.Koebner response in psoriasis:The reported incidence of Koebner response in psoriasis varies from 11-75%.The latent period between injury to uninvolved skin and appearance of disease is usually 10-14 days, but it may range from 3 days to several years.The "reverse" Koebner response:The reverse Koebner reaction is seen when an area of psoriasis clears following injury.